Drug of choice for myoclonic seizures is:
1. Valproic acid
2. Phenytoin
3. Ethosuximide
4. Carbamazepine

Correct answer: 1. Valproic acid